Epiphora is found in all of the following fractures except:
1. Lefort 2.
2. Orbital fracture.
3. Lefort 3.
4. Nasal complex fracture.

Correct answer: 2. Orbital fracture.

Explanation: Epiphora is seen in Le Fort II, Le Fort III and severe nasal complex injuries due to partial or complete obstruction of nasolacrimal duct (MCET-07). The patient complains of epiphora and may develop infected mucocele, a condition termed as dacrocystitis.